Which muscle originates from 1st pharyngeal arch?
1. Buccinator
2. Posterior belly of digastric
3. Masseter
4. Stylopharyngeus

Correct answer: 3. Masseter

Explanation: Arch 1 : Mandibular arch Muscle derivatives Muscles of mastication (temporalis, masseter, medial/lateral pterygoid), mylohyoid, anterior belly of digastric, tensor veli palatini, tensor tympani Innervated by V3 of the trigeminal nerve (CN5) Aortic arch 1 becomes part of the maxillary artery